Mitochondria gene (True statement)a) Paternal transmissionb) Maternal transmissionc) Mendelian inheritanced) Mitochondrial myopathy
1. c
2. bd
3. ab
4. ac

Correct answer: 2. bd

Explanation: Mitochondrial DNA is always maternally inherited.
Important mitochondrial diseases are mitochondrial encephalomyopathy with lactic acidosis and stroke-like episodes (MELAS), Leber hereditary optic neuropathy, myoclonic epilepsy with ragged-red fibers, Leigh syndrome, Pearson syndrome, keams-sajre syndrome, chronic progressive external ophthalmoplegia and NARP (neurogenic weakness with ataxia & retinitis pigmentosa).